Which of the following pathway is the major energy providing pathway for fast-twitch muscle?
1. Glycolysis
2. b oxidation of fatty acids
3. Utilisation of ketone bodies
4. Amino acid breakdown

Correct answer: 1. Glycolysis

Explanation: Muscle fibers are classified into:- type I (slow twitch, oxidative) type II (fast twitch, glycolytic) Muscle Fibers type TYPE I TYPE II Color Red White Protein/Organelle rich in myoglobin contains a large number of mitochondria lacks Myoglobin contains few mitochondria Metabolism Aerobic (use free fatty acids during rest) Anaerobic (use glycolysis primarily for their energy) Contraction duration Sustained Short